Which of the following causes necrotising enterocolitis
1. Clostridium botulinum
2. Clostridium tetani
3. Clostridium perfingens A
4. Clostridium perfingens C

Correct answer: 4. Clostridium perfingens C

Explanation: Necrotizing enterocolitis is severe and often fatal enteritis. It is caused by C.perfringens type C strains with heat resistant spores that germinate in the intestine producing beta toxin, causing mucosal necrosis. Immunization with the type C toxoid has been shown to protect against this condition. Ref: Textbook of microbiology; Ananthanarayan and paniker's; 10th Edition; Pg: 260